Focal and diffuse thickening of gall bladder wall with high amplitude reflections and 'comet tail' artifacts on USG suggest the diagnosis of:
1. Xanthogranulomatous cholecysitis
2. Carcinoma of gall bladder
3. Adenomyomatosis
4. Cholesterolosis

Correct answer: 3. Adenomyomatosis

Explanation: C i.e. Adenomyomatosis - Adenomyomatosis of gall bladder is chracterized by diffuse (generalized), segmental (annular) or localized hyperplastic muscular wall thickeningQ, mucosal overgrowth and intramural diverticula/crypts/or sinus tracts (so called Rokitansky-Aschoff Sinuses). It characteristically pesents with comet tail artifacts/sign (on USG), pearl necklace sign (on oral cholecystogram or MR cholangiogr, am) and string of beads sign (on MRCP T2WI). Most thyroid carcinomas are hypoechoicQ. Whereas most thyroid adenomas are hyperechoic or isoechoic at ultrasound. Adenomyomatosis of Gall bladder *Adenomyomatosis is a special case of Gall Bladder cholesteatosis and belongs to the group of Hyperplastic Cholecystoses. *It appears as a hyperechoic tumerous thickening of the gall bladder wall (generalized or focal) originating from hypertrophied Rokitanski-Aschoff Sinuses (Intramural Diverticulae).